The most significant change in maternal lung volume that occurs in the third trimester of pregnancy includes.
1. Decrease in vital capacity
2. Increase in residual volume
3. Decrease in functional residual capacity
4. Decrease in closing capacity

Correct answer: 3. Decrease in functional residual capacity

Explanation: With enlargement of uterus, diaphragm is forced cephalad that decreases FRC.